Complication of spinal anaesthesia are all EXCEPT
1. Hypotension
2. Tachycardia
3. Bradycardia
4. Headache

Correct answer: 2. Tachycardia

Explanation: (Tachycardia) (506-17- Lee's 13th) (360- KDT6th)Complication of Spinal Anaesthesia* Bezold - Jarisch reflex - Characterised by bradycardia, vasodilation and hypotension* Post spinal headache - is due to seepage of CSF** - can be minimised by using small bone needle* Respiratory muscle paralysis is rare* Cauda - equina syndrome* Septic meningitis* Nausea & vomiting , urinary retension* Hypotension is the most common complication (Intra-operative)